Study the following table of population in a district and the average population served per doctor. Calculate the harmonic mean: AREA POPULATION SERVED PER DOCTOR POPULATION NUMBER OF DOCTORS RURAL 1000 50000 50 URBAN 500 50000 100 TOTAL 100000 150
1. 500
2. 567
3. 667
4. 750

Correct answer: 3. 667

Explanation: Calculation of harmonic mean is as follows: (50000+50000)/(50000/100+50000/50)=667 Ref : Medical biostatistics, 1st edition pg: 118